Primary and secondary palates are divided by
1. Greater palatine foramen
2. Canine teeth
3. Alveolar arch
4. Incisive foramen

Correct answer: 4. Incisive foramen

Explanation: D. i.e. Incisive foramenThe incisive foramen is dividing landmark between the primary & secondary palateQ; and anterior & posterior cleft deformities